Most efficient orthodontic tooth movement is obtained by:
1. Light continuous force
2. Large intermittent force
3. Light interrupted force
4. Heavy continuous force

Correct answer: 1. Light continuous force